A 35-year-old grand multipara starts bleeding profusely soon after delivery. Following steps were done:* IV lines secured* Resuscitation commenced* Oxytocins given* Balloon tamponade doneWhile these steps were being done 4 units of blood were transfused. But still her vitals are:BP = 80/50 mm of HgP/R = 130 beats/minuteWhat is the next step in management?
1. Insert B lynch suture
2. Ligate internal iliac artery
3. Perform hysterectomy
4. Transfuse factor Vila

Correct answer: 3. Perform hysterectomy

Explanation: Ans. is c, i.e. Perform hysterectomyFriends, management of PPH has to individualised in each case. In this question, oxytocin and balloon tamponade have failed incontrolling PPH. Inspite of giving 4 units of blood, her vitals are unstable.She is a grand multipara [?] instead of trying any conservative surgery like B lynch suture or ligation of internal iliac artery.I will straight away perform hysterectomy.